Unit of radiation exposure –
1. Rad
2. Rem
3. Gray
4. Roentgen

Correct answer: 4. Roentgen

Explanation: Roentgen is the old unit and coulombs/kg is the new (SI) unit of radiation exposure.